Ponderal's index for "small for gestational age" child:
1. Less than 1
2. Less than 2
3. Less than 3
4. Less than 4

Correct answer: 2. Less than 2

Explanation: Ans. B i.e. Less than 2 Ponderal Index (for neonates) Calculated as Weight in gm X 100/ (length in cm)3 A child with ponderal index 3.0 or more can be considered overweight but in some conditions such as in maternal smoking, reduced length may also be implicated. An index between 2.5 and 3.0 is considered normal, Between 2.0 and 2.5 marginal, and A child with this index less than 2.0 is classified as small for gestational age (SGA).